DOC for acute organophosphate poisoning is:
1. Neostigmine
2. Atropine
3. Pilocarpine
4. Tubocurarine

Correct answer: 2. Atropine

Explanation: Atropine  
It is highly effective in counteracting the muscarinic symptoms, but higher doses are required to antagonize the central effects. It does not reverse peripheral muscular paralysis which  is a nicotinic  action.  
All cases of anti-ChE  (carbamate or organophosphate) poisoning must be promptly given atropine 2 mg i.v. repeated every 10 min till dryness of mouth or other signs of atropinization appear (upto 200 mg has been administered in a day). Continued treatment with maintenance doses may be required for 1- 2  weeks. 
Reference: Essentials of Medical Pharmacology Eighth Edition KD  TRIPATHI  page no 122,123